Prolonged testosterone treatment to a man results in
1. increased spermatogenesis
2. Increased sperm motility
3. Azoospermia
4. Increased gonadotropins

Correct answer: 3. Azoospermia

Explanation: Prolonged use of testosterone may produce testicular atrophy thus causing azoospermia. (Ref.Essentials of medical pharmacology TD Tripathi 7th edition page no.299)